CT Scan of head showing a 'Tram track5 appearance in
1. Neurofibroma
2. Tuberous sclerosis
3. Von Hippel Lindau disease
4. Sturge weber syndrome

Correct answer: 4. Sturge weber syndrome

Explanation: Ans. is 'd' i.e.,. Sturge Weber Syndrome. Sturge-Weber syndrome is characterized by -A large unilateral cutaneous angioma* (.Port wine stain*) of the faceA cerebral angioma involving the ipsilateral* cerebral hemisphere and meninges.Adrenal pheochromocytoma*.Cerebral angioma leads to cortical atrophy and epilepsy*.Characteristic tram track calcification* is seen on x-ray and CT head.